Treatment of non-specific urethritis is :
1. Erythromycin
2. Sulphonamides
3. Tetracycline
4. Ampicillin

Correct answer: 3. Tetracycline